Friedreich's ataxia is caused due to triplet repeats of:
1. AGG
2. GAA
3. UAA
4. AUG

Correct answer: 2. GAA

Explanation: The classic form of Friedreich's ataxia has been mapped to 9q13-q21.1, and the mutant gene, frataxin, contains expanded GAA triplet repeats in the first intron. There is homozygosity for expanded GAA repeats in more than 95% of patients. Normal persons have 7-22 GAA repeats, and patients have 200-900 GAA repeats. A more varied clinical syndrome occurs in compound heterozygotes who have one copy of the GAA expansion and the other copy a point mutation in the frataxin gene. When the point mutation is located in the region of the gene that encodes the amino-terminal half of frataxin, the phenotype is milder, often consisting of a spastic gait, retained or exaggerated reflexes, no dysarthria, and mild or absent ataxia. Ref: Harrison's principle of internal medicine 17th edition.